Non coding RNAs are:
1. siRNA
2. miRNA
3. tRNA
4. All

Correct answer: 4. All

Explanation: A, B, C, i.e. siRNA, miRNA, tRNANoncoding (nc) RNAs are all RNAs that do not encode protein. They are also called non protein coding (npc) RNA, non-messenger (nm) RNA, small (s) RNA, and functional (fl RNA. The gene (DNA sequence) from which a nc-RNA is transcribed as end product is called non coding RNA gene or RNA gene.Non coding (nc) RNAs include ribosomal (r) RNA, transfer (t) RNA, small nuclear (sn) RNA, small nucleolar (sno) RNA, sca RNA, small temporal (st) RNA, micro (mi) RNA, small interfering (si)RNAQ, pi RNA, rasi RNA, line RNA, antisense RNA, and long nc RNAs like Xist & HOTAIR,Messenger (m) RNA is a coding RNA.